The largest fraction of the total body fluid is:
1. Extracellular fluid
2. Intracellular fluid
3. Plasma
4. Whole blood

Correct answer: 2. Intracellular fluid